In drug metabolism, hepatic cytochrome P-450 system is responsible for:
1. Phase I reactions (hydrolysis, oxidation, reduction etc.) only
2. Phase II reactions (conjugation, synthesis etc.) only
3. Both phase I and II reactions
4. Converting hydrophilic metabolites to lipophilic metabolites

Correct answer: 1. Phase I reactions (hydrolysis, oxidation, reduction etc.) only

Explanation: Ans. (A) Phase I reactions (hydrolysis, oxidation, reduction etc. only(Ref: Katzung 13th/e p60; KDT 8th/e p32)Cytochrome P450 enzymes are responsible for phase I reactions only whereas microsomal enzymes can be involved in phase II also (glucuronide conjugation)